On per vaginal examination, anterior fontanelle and supraobital ridge is felt in the second stage of labour. The presentation is:
1. Brow presentation
2. Deflexed head
3. Flexed head
4. Face presentation

Correct answer: 1. Brow presentation